Which type of glomerulopathy is seen in HIV positive patients?
1. Focal segmental glomerulosclerosis
2. Diffuse glomerulosclerosis
3. Membranous glomerulopathy
4. Mesangioproliferative glomerulonephritis

Correct answer: 1. Focal segmental glomerulosclerosis

Explanation: * HIV nephropathy is associated with the development of focal segmental glomerulosclerosis(also seen with reflux nephropathy). * It is also the commonest cause of nephrotic syndrome in adults.